Major site of protein glycosylation is ?
1. ER and golgi body
2. Ribosome and golgi body
3. ER and ribosome
4. Ribosome and cytoplasm

Correct answer: 1. ER and golgi body

Explanation: Ans. is 'a' i.e., ER and golgi body N- Glycosylation occurs in ER and O-glycosylation occurs in golgi apparatus.